Unilateral sensorineural hearing loss may occur in?
1. Coronavirus
2. Mumps
3. Pertussis
4. Rotavirus

Correct answer: 2. Mumps

Explanation: Ans. is 'b' i.e., Mumps Infections of labyrinth Trauma to labyrinth or VIII nerve (Head injury, surgery etc) Noise induced hearing loss Ototoxic drugs Acquired causes of SNHL Presbycusis Meniere's disease Acoustic neuroma Sudden hearing loss Systemic disorders (DM, Hypothyroidism, Renal disorders) Multiple sclerosis Smoking & Alcoholism